BMW rules given on 28th March, 2016 were laid down by :
1. Ministry of Environment and Climate Change
2. Municipal corporation bodies
3. Ministry of Health and Welfare
4. NITI Aayog

Correct answer: 1. Ministry of Environment and Climate Change